New RNTCP software online to monitor TB control programme is-
1. NIKSHAY
2. NISCHAY
3. NIRBHAI
4. E- DOTS

Correct answer: 1. NIKSHAY

Explanation: To keep a track of the TB patients across the country, the Government of India has introduced a system called NIKSHAY. * The word is combination of two Hindi words NI and KSHAY meaning eradication of tuberculosis. * NIKSHAY (www.nikshay.gov.in) is a web enabled application, which facilitates monitoring of universal access to TB patients data by all concerned. * The system has been developed jointly by the Central TB Division of the Ministry of Health and Family Welfare and National Informatics Centre (NIC) and it was launched by the Government of India in June 2012 with issue of required administrative directions from Central TB Division for use of NIKSHAY .